Best treatment to prevent gas gangrene -
1. Thorough debridement
2. Anti serum
3. Vaccnation
4. Antibiotics

Correct answer: 1. Thorough debridement